Topical antifungal in fusarium infections is:
1. Silver sulfadiazine
2. Natamycin
3. Ketoconazole
4. Flucytosine

Correct answer: 2. Natamycin

Explanation: Natamycin